Recall phenomenon is seen in:
1. Radiotherapy following chemotherapy
2. Surgery after radiotherapy
3. Radiotherapy after surgery
4. Chemotherapy following radiotherapy

Correct answer: 4. Chemotherapy following radiotherapy

Explanation: Ans. D i.e. Chemotherapy following radiotherapy Radiation recall phenomenon When patients are exposed to certain chemotherapy agents a few weeks or months (or, rarely, even years) after completion of radiation treatment, some acute radiation reactions may re-occur. This phenomenon was first described by Dr. D'Angio, who observed skin reactions corresponding to the outline of radiation portals after use of dactinomycin (actinomycin D) a few months following completion of radiation treatment. This is an important issue when multimodality therapy is considered for cancer patients, and also the reason that some agents are avoided or used in reduced doses in the weeks and months after completion of radiation therapy. In addition to skin reactions, gastrointestinal and urinary reactions as well as radiation pneumonitis have also been reported in association with this phenomenon. Some of the chemotherapy agents that have been reported to cause radiation recall reactions include doxorubicin (adriamycin), dactinomycin, paclitaxel (taxol), and methotrexate.